Ragarding Cytosolic Eukaryotic gene expression false is :
1. Capping helps in attachment of mRNA to 40 S Ribosome
2. N formyl methionine tRNA will be the first t - RNA to come into action
3. EF2 shifts between GDP & GTP
4. Releasing factor releases the polypeptide chain from the P site.

Correct answer: 2. N formyl methionine tRNA will be the first t - RNA to come into action

Explanation: B i.e. N formyl methionine t RNA will be first t RNA to come into action